Inability to touch the opposite shoulder in dislocated shoulder is known as ?
1. Bryant Test
2. Callaway Test
3. Dugas Test
4. Hamilton Ruler Test

Correct answer: 3. Dugas Test

Explanation: 1) Bryant's test - Lower level of axillary fold which can be observed from a distance in dislocated shoulder. 2) Callaway test -Circumference of axilla lengthens in dislocated shoulder. 3) Dugas test - Inability to touch the opposite shoulder in dislocated shoulder 4) Hamilton ruler test - When ruler placed on lateral epicondyle ruler touch lateral epicondyle and acromion simultaneously in dislocated shoulder.(normally it can't)